Vitreous haemorrhage is seen in all except:
1. Coat's disease
2. Eales' disease
3. CRVO
4. CRAO

Correct answer: 4. CRAO

Explanation: Ans. CRAO